Free water clearance by the kidney is increased by which of the following?
1. Diabetes insipidus
2. Renal failure
3. Diuretic therapy
4. Diabetes mellitus

Correct answer: 1. Diabetes insipidus

Explanation: Free water clearance is the amount of water excreted in excess of that required to make the urine isotonic to plasma.